Restrictive cardiomyopathy is seen in?
1. Amylodosis
2. Fatty change of heart
3. Viral myocarditis
4. Doxorubicin toxicity

Correct answer: 1. Amylodosis

Explanation: Ans. (a) AmyloidosisRef: Harrison's 18/e, chapter 238